3 year old girl has a central incisor removed because of
trauma. What is the best appliance to use to replace the
missing tooth?
1. A removable appliance
2. Fixed lingual wire with a tooth attached
3. A fixed lingual wire only
4. Hawley appliance with replacement tooth

Correct answer: 2. Fixed lingual wire with a tooth attached